Mesangial deposits of IgA in renal glomeruli is a feature of -
1. Henoch Schonlin purpura
2. Membranoproliferative glomerulonephritis
3. Lipoid nephrosis
4. Alport syndrome

Correct answer: 1. Henoch Schonlin purpura

Explanation: Henoch-Schlein purpura come under type1 RPGN and they are associated with crescent formation. Henoch-Schonlein or anaphylactoid purpura is a self-limited type of hypersensitivity vasculitis occurring in children and young adults. Circulating immune complexes are deposited in the vessel wall consisting of IgA, C3, and fibrin, and in some cases, properdin suggesting activation of alternative complement pathway as the trigger event. Henoch-Schonlein purpura is characterized by hypersensitivity vasculitis and palpable purpura. Ref: Textbook of pathology Harsh Mohan 6th edition page 331